Nodular glomerulosclerosis is seen in
1. Diabetes mellitus
2. Malignant hypertension
3. Amyloidosis
4. Multiple myeloma

Correct answer: 1. Diabetes mellitus

Explanation: Ans. (a) Diabetes mellitus(Ref: Robbins 9th/pg 1118)Most specific histological lesion in diabetic nephropathy (see chapter 18 Endocrine system) is Nodular glomerulosclerosis or Kimmelsteil -Wilson lesions